Neuroblastoma most commonly occurs in:
1. Neck
2. Mediastinum
3. Suprarenal glands
4. None of the above

Correct answer: 3. Suprarenal glands

Explanation: The tumor originates most frequently in the adrenal glands, posterior mediastinum, neck, or pelvis but can arise in any sympathetic ganglion. The clinical presentation depends on the site of the primary and the presence of metastases. Ref: Schwartz's principle of surgery 9th edition, chapter 39.